Disease or infarction of neurological tissue causes it to be repaired by -
1. Fluid
2. Neuroglia
3. Proliferation of adjacent nerve cells
4. Blood vessel

Correct answer: 2. Neuroglia

Explanation: Neuroglia (astrocytes) are the principle cells in the central nervous system responsible for reaction to infra), repair and scar formation in the brain. - What fibroblasts do elsewhere neuroglia do in the CNS. Gliosis is the most important histopathologic indicator of CNS injury. Astrocytes participate in this process by undergoing both hypertrophy and hyperplasia.